Mastoid infection which erodes through the outer cortex of bone results in -
1. Sub-periosteal abscess
2. Epidural abscess
3. Perichondritis
4. Lateral sinus thrombosis

Correct answer: 1. Sub-periosteal abscess